All of the following are amide class of local anesthetic except
1. Lignocaine
2. Mepivacaine
3. Prilocaine
4. Chlorprocaine

Correct answer: 4. Chlorprocaine

Explanation: Chlorprocaine belong ester class of local anesthetics.